Family planning became as voluntary from which year?
1. 1977
2. 1953
3. 1992
4. 1997

Correct answer: 1. 1977

Explanation: Ans. is 'a' i.e., 1977 National population policy was further modified and re-announced in 1977. In this new policy, what was reinforced was education and health. The latter component of the reformulated policy included the general as well as maternal and child heath both. A voluntary family planning was also introduced here on.